Cyclical trend of occurrence of disease is shown by all except
1. Measles
2. Rubella
3. Influenza
4. Polio

Correct answer: 4. Polio

Explanation: Cyclical trend is occurance of disease in cyclical pattern
Eg :

Measles : every 2-3 years.
Rubella : every 6-9 years.
Influenza : every 10-15 years (pandemic).

Polio cases occurance is considered as epidemic / short term fluctuation.